Aseptic meningitis caused by
1. Indomethacin
2. Ibuprofen
3. Aspirin
4. Icatibant

Correct answer: 2. Ibuprofen

Explanation: Ans. is 'b' i.e., Ibuprofen Medications known to cause aseptic meningitis Medications Medication Common Uncommon NSAIDs Ibuprofen Sulindac Naproxen Diclofenac Rofecoxib Antimicrobials Trimethoprim/sulfamethoxazole Sulfonamides Immunomodulating agents Monoclonalantibody OKT3Intravenous IgG Azathioprine Intrahecal agents Metrizamide Cytarabine Methylprednisolone acetate Other Carbamazepine Causes of acute aseptic meningitis Infectious cases Bacterial Lyne disease Leptospirosis Mycobacterium tuberculosis infection Subacute bacterial endocarditis Parameningeal infection (epidural subdural abcess, sinus or ear infection) Partially treated bacterial meningitis Viral Echovirus infection Coxaackie virus infection Mumps St. Louis encephalitis Eastern equine encephalitis Western equine encephalitis Calcifornia encerphalitis Herpes simplex virus type 2 infection HIV infection Lymphocytic choriomeningitis Poliovirus infection